Which of the following agent is least likely to cause Meningitis in the elderly?
1. Listeria Monocytogenes
2. Streptococcus pneumonia
3. Gram Negative bacteria
4. Herpes Simplex Virus - 2 (HSV 2)

Correct answer: 4. Herpes Simplex Virus - 2 (HSV 2)

Explanation: In elderly, viral meningitis is relatively uncommon. Listeria monocytogenes, streptococcus pneumonia and gram negative bacteria are common causes of meningitis affecting the elderly. So HSV-2 is the single best answer of choice. Ref: Harrison's Principles of Internal Medicine, 16th Edition, Pages 2471-72; Manual of Practical Medicine By R Alagappan, 3rd Edition, Page 524